Hair growth correlates with serum androgen levels in all these areas EXCEPT...
1. Inter-mammary
2. Eye Brows
3. Beard
4. Inner thigh

Correct answer: 2. Eye Brows

Explanation: Hirsutism is excessive growth of terminal hair in a male pattern distribution. This is different from hypertrichosis, which is excessive hair growth everywhere in the body Quantification is done using Ferriman Gallway Scoring This refers particularly to midline hair, side burns, moustache, beard, chest or intermammary hair, and inner thigh and midline lower back hair entering the intergluteal area, and not the lanugo or eyebrows & eyelashes.